Drug used in heparin overdose -
1. Protamine sulfate
2. Phylloquinone
3. Ticlopidine
4. Clopidogrel

Correct answer: 1. Protamine sulfate

Explanation: Ans. is 'a' i.e., Protamine sulfate The most common adverse effect of heparin is bleeding.Protamine sulfate is an antidote of heparin. Protamine is strongly basic low molecular weight protein.Protamine sulfate is rarely needed in heparin induced bleeding because the action of heparin disappears by itself in few hours.The best management of heparin induced bleeding is whole blood transfusion to replenish the blood loss.Protamine is more commonly used when heparin action needs to be terminated rapidly.Goodman Gilman states "Mild bleeding due to heparin usually can be controlled without the administration of an antagonist. If life threatening hemorrhage occurs, the effect of heparin can be reversed quickly by slow intravenous infusion of protamine sulfate.99